All are adulterants of heroin, except:
1. Chalk powder
2. Quinine
3. Charcoal
4. Fructose

Correct answer: 3. Charcoal

Explanation: C i.e Charcoal Morphine depress respiratory centre, so rate & tidal volume both are decreasedQ & death is due to respiratory failure. YawningQ, dysphoric mood & insomnia with water loss from different orifices (i.e. lacrymation, sweating, diarrhoea, vomiting, rhinorrhea) are characteristic symptoms of opioid withdrawl Opium (Morphine) poisoning has 3 stages Stage of Excitement - HallucinationQ, Euphoria, Maniacal features Stage of Stupor - Headache, nausea, vomiting, incapacity for exertion, a sense of weight in limbs, giddiness, drowsiness, stupor Stage of Coma - Abolished reflex, Pin point non reacting pupilQ, All secretions are suspended except sweat, respiratory depressionQ & paralysis -Charas or Hashish is resinous exudates from the leaves & stems of plant cannabis indica or Cannabis sativa.Q - The activa principle of cannabis is a fat soluble oleoresin, cannabinol (tetra h dro-cannabinol- THC). Cannabis is used in four forms Bhang Dried leaves & fruit shoots Majun Sweet meat made with bhang. It produces grandiose delusions in addition to effects of bhang Ganja Dried flowering tops of female plant.Q Charas or Hashish Resinous exudates from leaves & stem of plantQ